Manual mulling is carried out for not more than
1. 1-2 seconds
2. 2-4 seconds
3. 1-4 seconds
4. 2-5 seconds

Correct answer: 4. 2-5 seconds

Explanation: In mulling, the mixture is enveloped in a dry piece of rubber dam and vigorously rubbed between the first finger and thumb. This process should not exceed 2-5 seconds.
Reference: Marzouk Operative dentistry, pg-113